Nonprogressive contraction of esophagus are:
1. Primary
2. Secondary
3. Tertiary
4. Quaternary

Correct answer: 3. Tertiary

Explanation: Ans. (c) TertiaryRef: Sabiston 19th Edition, Page 1019* Primary and secondary peristalsis are normal* Tertiary peristalsis is abnormal